Mydriatic used in 3 years old child for refraction is –
1. 1% Atropine drops
2. 1% Atropine ointment
3. 1% Homatropine drops
4. 1% Tropicamide drops

Correct answer: 2. 1% Atropine ointment

Explanation: Atropine 1% ointment  → < 5 years of age
Homatropine 2% drop  → 5 - 20 years
Cyclopentolate 1% drop → 5- 20 years
Tropicamide 5%,10% drop → 5- 20 years